Tonsil is derived from:
1. 1st pouch
2. 2nd pouch
3. 3rd pouch
4. 4th pouch

Correct answer: 2. 2nd pouch

Explanation: Ans. B. 2nd pouchPharyngeal PouchDerivatives1Tympanic (middle ear) cavity Auditory (eustachian) tube2Palatine tonsils Tonsillar fossa3Inferior parathyroid gland Thymus4Superior parathyroid gland uitimobranchial body (parafollicular cells of the thyroid gland)